Class II elastics are used by stretching an elastic between which of the two following points?
1. From the posterior to the anterior within the maxillary arch
2. From the posterior to the anterior within the mandibular arch
3. From the posterior of the maxillary arch to the anterior of the mandibular arch
4. From the posterior of the mandibular arch to the anterior of the maxillary arch

Correct answer: 4. From the posterior of the mandibular arch to the anterior of the maxillary arch

Explanation: Class II elastics work in the direction that would be used to correct a Class II malocclusion, to pull the mandibular teeth forward and the maxillary teeth distally.